The following statements concerning chorda tympani nerve are true except that it
1. Carries secretomotor fibers to submandibulgar gland
2. Joins lingual nerve in infratemporal fossa
3. Is a brach of facial nerve
4. Contains postganglionic parasympathetic fibers

Correct answer: 4. Contains postganglionic parasympathetic fibers

Explanation: The chorda tympani is a branch of the facial nerve that originates from the taste buds in the front of the tongue, runs through the middle ear, and carries taste messages to the brain. It joins the facial nerve (cranial nerve VII) inside the facial canal, at the level where the facial nerve exits the skull the petrotympanic fissure ref - BDC 6e vol3 pg279